Early date for detection of fetal heart :
1. 6.0-6.5 weeks
2. 6.5-7 weeks
3. 7.1-7.5 weeks
4. 8 weeks

Correct answer: 1. 6.0-6.5 weeks

Explanation: 1st Trimester Scan: Assessment of Early Pregnancy and Fetal Viability: Gestational sac - 4.5 weeks, Yolk sac- 5 weeks, Fetal node- 6 weeks, Fetal heart- 6 weeks Reference: Dutta's Textbook of Obstetrics 7th edition page no 68